Superior parathyroid glands are derived from :
1. 1st branchial pouch
2. 3rd branchial pouch
3. 4th branchial pouch
4. 5th branchial pouch

Correct answer: 3. 4th branchial pouch

Explanation: C i.e. 4th branchial pouch